Diameter of the Vossius's ring is:
1. Equal to normal pupil
2. Smaller than the normal pupil
3. Slightly larger than the normal pupil
4. Much larger than the normal pupil

Correct answer: 2. Smaller than the normal pupil

Explanation: Ans. Smaller than the normal pupil